A thin bluish line around the gingival margin is due to
the absorption of
1. Silver
2. Mercury
3. Drugs like tetracyclines
4. Lead

Correct answer: 4. Lead